True about hypospadias is all except -
1. Bifid scrotum
2. Meatal stenosis
3. Intellectual Disability
4. Spatulated glans

Correct answer: 3. Intellectual Disability

Explanation: Answer is 'c' i.e. Intellectual Disability Meatal stenosis may be associated with hypospadias and needs meatotomy for correction.Bifid scrotum may be seen in penoscrotal, scrotal & perinea! hypospadias.